Which of the following method is used to dispose off the human anatomical waste?
1. Autoclaving
2. Incineration
3. Chemically
4. None

Correct answer: 2. Incineration

Explanation: Human anatomic waste such as human tissues, limbs and placenta are disposed by incineration or according to the local legislative requirements. Household waste is disposed of by landfill or other locally acceptable means and may be compacted. Infectious or other hazardous health care waste must not be compacted prior to disposal. Clinical waste is treated or decontaminated to reduce the microbial load or to render the byproducts safe for further handling and disposal by landfill. Historically, treatment methods involve autoclaving or incineration. Alternative treatment methods developed in recent years includes chemical disinfection, microwave or radiowave treatments, and disinfection/ encapsulation methods. Ref: Manual of Infection Prevention and Control By Nizam Damani, Page 333